Occult hepatitis B is:
1. HBV DNA < 104 copies/ml with HBsAg negative
2. HBV DNA < 104 copies/ml with HBsAg positive
3. HBV DNA < 104 copies/ml with HBeAg negative
4. HBV DNA < 104 copies/ml with HBeAg positive

Correct answer: 1. HBV DNA < 104 copies/ml with HBsAg negative

Explanation: Occult hepatitis B is defined by the presence of HBV DNA in serum or liver in the absence of HBsAg. Serum HBV level is usually less than 104 copies/ml. Occult HBV infection has been found in patients with HCC, past HBV infection, or chronic hepatitis C, and individuals without HBV serological markers.